Lack of insight is not a feature of :
1. Panic disorder
2. Schizophrenia
3. Mania
4. Reactive Psychosis

Correct answer: 1. Panic disorder

Explanation: A i.e. Panic disorder